Pigment deposition on cornea seen in:
1. Chloroquine
2. Digoxin
3. Ranitidine
4. All

Correct answer: 1. Chloroquine

Explanation: Ans. Chloroquine